Stem cells in skin involved in skin homeostasis are present in the following areas except ______
1. Bulge of Hair follicle
2. Basal layer of interfollicular epidermis
3. Base of sebaceous glands
4. Base of apocrine glands

Correct answer: 4. Base of apocrine glands

Explanation: To maintain skin homeostasis, skin appendages regenerate and repair after injury, the skin contains stem cells that reside in the bulge area of hair follicles, the basal layer of interfollicular epidermis and the base of sebaceous glands. Stem cells are not known to occur at base of apocrine sweat glands. Image:Epithelial stem cells are found within the interfollicular epidermis, the base of sebaceous glands and in the bulge area of hair follicles.